Characteristic features of Rokitansky Kuster Hauser syndrome are all of the following except
1. Absent uterus
2. Absent vagina
3. Anovulation
4. 46 - XX

Correct answer: 3. Anovulation

Explanation: RKH Syndrome Vaginal aplasia or Hypoplasia Absent uterus As the ovaries function normally development of secondary sexual charecteristics is normal and ovulation is normal SHAW'S TEXTBOOK OF GYNAECOLOGY,Pg no:95,15th edition